Mean + 1.96 SD include following % of values in a distribution:
1. 68%
2. 99.50%
3. 88.70%
4. 95%

Correct answer: 4. 95%

Explanation: Ans: D i.e. 95% 96 is the approximate value of the 97.5 percentile point of the normal distribution used in probability and statistics. 95% of the area under a normal curve lies within roughly 1.96 standard deviations of the mean, and due to the central limit theorem, this number is therefore used in the construction of approximate 95% confidence intervals.